Granulomatous uveitis is seen in:
1. Vogt-Koyanagi-Harada disease
2. Fuch's disease
3. Bechet's syndrome
4. All

Correct answer: 1. Vogt-Koyanagi-Harada disease

Explanation: A i.e. Vogt-Koyanagi-Harada disease - Granulomatous uveitis is seen in chronic tuberculosis, leprosy, brucellosis, syphilis, leptospirosis, as well as most viral (esp herpes simplex, herpes zoster & varicella), fungal, protozoal and helminthic infectionsQ. It is also seen in sarcoidosis, sympathetic ophthalmitis, Vogt-Koyanagi-Harada's disease and phacoanaphylactic (lens induced) uveitis. Chronic granulomatous uveitis is caused by tuberculosis, syphilis, leprosy, brucellosis, herpes simplex, herpes zoster, varicella, sarcoidosis and phacoanaphylactic uveitis. Chronic nongranulomatous uveitis is associated with juvenile chronic arthritis, chronic iridocyclitis of children and Fuchs hetrochromic iridocyclitis.